True about Celiac disease except
1. Crypt hyperplasia
2. Increase in thickness of the mucosa
3. Increase in intraepithelial lymphocytes
4. Increase in inflammatory cells in lamina propyria

Correct answer: 2. Increase in thickness of the mucosa

Explanation: Celiac disease There is variable degree of flattening of the mucosa, particularly of the upper jejunum, and to some extent of the duodenum and ileum. The surface epithelial cells are cuboidal or low columnar type. There may be partial villous atrophy which is replacement of normal villous pattern by convolutions, or subtotal villous atrophy characterised by flat mucosal surface. Lamina propria shows increased number of plasma cells and lymphocytes. TEXTBOOK OF PATHOLOGY 6TH EDITION HARSH MOHAN PAGE NO:575 IMAGE REF: